All the following are TRUE about Krukenberg's tumor except
1. Large cystic spaces
2. Maintains ovarian shape
3. Bilateral
4. Usually from stomach carcinoma

Correct answer: 1. Large cystic spaces

Explanation: Krukenberg! tumor - are almost invariably bilateral There is no tendency to form adhesions with neighboring viscera and there is no infiltration through the capsule . The tumor retains the shape of the normal ovary and has a peculiar solid waxy consistence, although cystic spaces due to degeneration of the growth are common